Stroke volume is increased by ?
1. Increased end-diastolic and end-systolic volumes
2. Decreased end-diastolic and end-systolic volumes
3. Increased end-diastolic volume and decreased end-systolic volume
4. Decrased end-diastolic volume and increased end-systolic volume

Correct answer: 3. Increased end-diastolic volume and decreased end-systolic volume

Explanation: Ans. is 'c' i.e., Increased end-diastolic volume and decreased end-systolic volumeThe stroke volume is the amount of blood pumped out by left ventricle in each stroke.Stroke volume is given by the difference between end-diastolic ventricular volume (the volume of blood in the left ventricle at the end of diastole; normal 120 inl) and end-systolic ventricular volume (the volume of blood at the end of systole; normal 50 ml).Stroke volume (70 ml) = End-diastolic ventricular volume (120 ml) - End-systolic ventricular volume (50 ml)